Naltrexone is used in opioid addiction because
1. To treat withdrawal symptoms
2. To treat overdose of opioids
3. Prevent relapse
4. Has addiction potential

Correct answer: 3. Prevent relapse

Explanation: Ans. is 'c' i.e. prevent relapse Naltrexone is a pure opioid antagonistIt is a competitive antagonist at all opioid receptors.It can be used orally, to assist in the rehabilitation of ex-opioid abusers who are fully withdrawn (otherwise it will induce an acute Withdrawl syndrome).A patient who then takes an opioid, fails to experience the kick or euphoria because of the opioid antagonistic actions of the Naltrexone.